Microsporum involves:
1. Skin, hair and nails
2. Skin and hair
3. Skin and nails
4. Hair and nails

Correct answer: 2. Skin and hair

Explanation: Dermatophytes Trichophyton - skin ,hair, ,nail (Tri-all Three) Microsporum- skin, hair (My head -on head we have skin and hair) Epidermophyton- skin, nails